The causative organism in Madura Mycosis Mycetomatis:
1. Madurella mycetomatis
2. Nocardia
3. Aspergillus
4. Dermatophytes

Correct answer: 1. Madurella mycetomatis

Explanation: Ans. is 'a' i.e., Madurella mycetomatisActinomycetoma caused by Actinomadura madurae, Actinomadura pelletri, Nocardia brasilensis, Nocardia caviae.Q Eumycetoma - Madurella mycetomatis, Pseudoallescheria boydii, Acremonium.Q